Which of the following is not a protease inhibitor?
1. Atazanavir
2. Ritonavir
3. Abacavir
4. Indinavir

Correct answer: 3. Abacavir

Explanation: Ans. (c) AbacavirRef.: KDT 6th ed. / 773-74Protease inhibitors (ends with "navir")Nucleoside reverse tanscriptase inhibitor (NRTI)* Indinavir* Saquinavir* Ritonavir* Atazanavir* Nelfinavir* Amprenavir* Lopinavir* Zidovudine* Stavudine* Lamivudine* Didanosine* Emtricitabine* Zalcitabine* AbacavirSide effect: Lipodystrophy syndromeMinimum side effect seen with: ATAZANAVIRSide effect: acute pancreatitis* Peripheral neuropathy* Bone marrow suppression and M.I.Also Know* NRTI which has the maximum risk of acute pancreatitis: DIDANOSINE* NRTI which has the maximum risk of peripheral I neuropathy: STAVUDINE* Safest NRTI: LAMIVUDINE (minimal risk of pancreatitis and peripheral neuropathy)